Superior oblique muscle performs action of:
1. Intortion
2. Extortion
3. Elevation
4. Medial rotation

Correct answer: 1. Intortion

Explanation: A i.e. Intortion